Nerve damaged due to Iunate dislocation (in carpal tunnel) -
1. Median & ulnar
2. Median
3. Ulnar
4. Radial

Correct answer: 2. Median

Explanation: Lunate dislocation is one of the common causes for median nerve palsy within the carpel tunnel.